Bacteria not causing ophthalmia neonatorum ?
1. Chlamydia
2. Gonococcus
3. Pseudomonas
4. Moraxella

Correct answer: 4. Moraxella

Explanation: Ans. is 'd' i.e., Moraxella Ophthalmia neonatorum Ophthalmia neonatorum, also called neonatal conjunctivitis, is the conjunctivitis in the first month of life. Infection may be acquired during birth from infected birth canal (most common) or after birth. The causative agents are : - Common organisms are : - Gonococcus, C. trachomatis, Herpes simplex virus. Other organisms are : -Staphylococcus aureus, pneumococcus, Streptococcus, Pseudomonas, Serratia, Klebsiella. Chemical conjunctivitis : - Caused by use of silver nitrate or antibiotic prophylaxis.